An ectopic pregnancy implanted in the ovary clinically may most closely mimic which of the following?
1. Ovarian torsion
2. Corpus luteum cyst rupture
3. Uterine horn pregnancy rupture
4. Interstitial ectopic pregnancy rupture

Correct answer: 2. Corpus luteum cyst rupture

Explanation: * Findings of ectopic pregnancy in ovary are likely to mimic those of a tubal pregnancy or a bleeding corpus luteum. * At surgery, early ovarian pregnancies are likely to be considered corpus luteum cysts or a bleeding corpus luteum.